An obese young woman ingested a banned drug which was once used for weight reduction and she developed high fever. The drug is known to affect the ATP formation in electron transport chain. What could be that drug?
1. Barbiturate
2. Malonate
3. 2,4 dinitrophenol
4. Rotenone

Correct answer: 3. 2,4 dinitrophenol

Explanation: Rotenone is a fish poison. It is not over-the-counter drug - option d is excluded. Barbiturate poisoning leads to hypothermia, not fever - option a is excluded. Malonate is a competitive inhibitor of complex II (succinate dehydrogenase) - option b is excluded. 2,4 dinitrophenol Iionophore which allows proton to pass through & dissipates the electrochemical gradient generated by proton pumps. Uncouples the oxidation from phosphorylation. Oxidation continues without phosphorylation. Energy of electrons is dissipated as heat. All ionophores are uncouplers of oxidative phosphorylation. It was once used for weight-reduction but discontinued later because of adverse effects.